Most common cause of female pseudohermaphroditism is:
1. Virilizing ovarian tumor
2. Ovarian dysgenesis
3. Exogenous androgen
4. Congenital adrenal hyperplasia

Correct answer: 4. Congenital adrenal hyperplasia

Explanation: Ans. is d, i.e. Congenital adrenal hyperplasiaRef: Dutta Gynae 4th/ed, p404; Williams Gynae 1st/ed, p409; Novak 14th/ed, p102Most common cause of female Pseudohermaphroditism is Congenital adrenal hyperplasia